Maltworker's lung is caused by:
1. Aspergillus clavatus
2. Aspergillus fumingatus
3. Pseudomonas
4. Micropolyspora faeni

Correct answer: 1. Aspergillus clavatus

Explanation: Aspergillus clavatus